The LMA proseal was developed by:-
1. Bailey
2. Macewan
3. Brain
4. Magill

Correct answer: 3. Brain

Explanation: Classical Laryngeal Mask Airway was designed by Dr Archie Brain Proseal Laryngeal Mask Airway was also designed by Dr Archie Brain